Catalase positive coagulase negative beta hemolytic bacteria -
1. Strep pyogens
2. Staph aureus
3. Coagulase negative staph
4. Enterococci

Correct answer: 3. Coagulase negative staph

Explanation: Staphylococci are catalase positive.